DIC is seen in which type of AML?
1. M1
2. M3
3. M4
4. M6

Correct answer: 2. M3

Explanation: Disseminated intra vascular coagulation is most commonly associated with acute promyelocytic leukemia(M3). M3 is the single best answer of choice. Ref: Approach to Internal Medicine: A Resourse Book for Clinical Practice By David Hui, Page 167